True statement regarding oogenesis is/are :
1. Primary oocyte arrests in prophase of 1st meiotic division
2. Primary oocyte arrests In prophase of 2nd meiotic division
3. Secondary oocyte arrest In metaphase of 1 st meiotic division
4. Secondary oocyte arrest in prophase of 2nd meiotic division

Correct answer: 1. Primary oocyte arrests in prophase of 1st meiotic division

Explanation: Oogonia enter into meiosis and are arrested in prophase of first meiotic division to form primary oocyte by 20weeks in fetal life These primary oocytes do not enter metaphase, but rest in diplotene stage of prophase until puberty This is due to the secretion of oocyte maturation inhibitor by follicular cells. Reference Langman's Textbook of embryology 13th edition page no 25